The best indicator of cystic fibrosis is
1. A positive family history of cystic fibrosis
2. The presence of digital clubbing
3. A sweat test with a chloride concentration of 70mEq/L
4. Bronchiectasis on a chest x-ray

Correct answer: 3. A sweat test with a chloride concentration of 70mEq/L

Explanation: A positive sweat test (i.e., a sweat chloride level greater than 60 mEq/L) is diagnostic of cystic fibrosis.